All of the following poison's are dialyzable except:
1. Ethylene glycol
2. Methanol
3. Barbiturates
4. Copper sulphate

Correct answer: 4. Copper sulphate

Explanation: D i.e. Copper Sulphate